Not a component of Cram stain -
1. Methylene blue
2. Ethanol
3. Iodine
4. Gentian violet

Correct answer: 1. Methylene blue

Explanation: Ans. is 'a' i.e., Methylene blue